True about hydatid cyst are all, except ?
1. Most common site is liver
2. Calcification is common in lung
3. May involve kidney
4. Liver cysts are more common in right lobe

Correct answer: 2. Calcification is common in lung

Explanation: Ans. is 'b' i.e., Calcification is common in lung Hydatid disease Liver cysts The majority of hydatid cysts occur in the liver, causing symptoms : Chronic abdominal discomfort Palpable abdominal mass Allergic reactions due to cyst rupture - skin rash, anaphylactic shock, or death. Abscess formation due to secondry bacterial infection Liver cysts occur more frequently in the right lobe. Lung cyst Second most common organ (after liver) Usually asymptomatic Occasionally may cause symptoms. Least common site of calcified hydatid cyst. Radiographic signs Meniscus sign Water - lily sign, camalote sign Rising sun sign, serpent sign Empty cyst sign